Anesthetic equipment that can provide 100% oxygen is:
1. Venturi mask
2. Oxygen mask
3. Nasal cannula
4. Face mask with reservoir

Correct answer: 4. Face mask with reservoir

Explanation: ANS. DOxygen delivery by:1. Nasal cannula: 24-44% FiO92. Simple face mask: 40-60% FiO93. Venturi mask: 24-40% FiO94. Nonrebreathing mask (with reservoir bag): 60-100% O2